Cidofovir is?
1. Antiviral
2. Antifungal
3. Antihelmenthic
4. Antibacterial

Correct answer: 1. Antiviral

Explanation: Ans. is 'a' Antiviral Cidofovir It is an antiviral drug. It is a monophosphate nucleotide analog of cytidine which inhibits most DNA viruses including HSV, CMV, pox and adenoviruses. It is used for the treatment of CMV retinitis.